Common sites of fracture non union are the following except -
1. Waist of scaphoid
2. Neck of femur
3. Distal 1/3 tibia fibula
4. Distal end radius

Correct answer: 4. Distal end radius

Explanation: Ans. is `d' i.e., Distal end radius Non-union When a fracture fails to unit completely even after the stipulated time, it is termed as non-union. Both, In non-union and delayed union, fracture does not unite in the usual stipulated time. The difference between two is that In delayed union, union occurs but at a slower rate, i.e. there is presence of clinical and radiological progressive signs of union though at a slower rate. Healing may occur without surgical intervention by just prolonging the duration of immobilization. In non-union, union does not occur at all, i.e. there is complete cessation of healing process in which fibrous tissue is never replaced by bony matrix. So, there is absence of clinical and radiological progressive signs of union. Fracture healing will not occur without surgical intervention, e.g. bone grafting, illizarov's technique. Common sites of non-union are neck of femur, scaphoid, lower third of tibia, lateral condyle of humerus and lower third of ulna.